Arteries found within parotid gland is /are:
1. External carotid artery
2. Maxillary artery
3. Posterior auricular artery
4. All of the above

Correct answer: 4. All of the above

Explanation: Arteries within parotid gland

External carotid artery
Maxillary vessels
Temporal vessels
Posterior auricular artery